A fungus causes skin infection. Which of the following is important media for growth of the fungus
1. Acidic
2. Alkaline
3. Extremely acidic
4. Neutral

Correct answer: 1. Acidic

Explanation: (Acidic) Sabouraud agar is a type of agar containing peptones. It is used to cultivate dermatophytes and other types of fungi. It was created by, and is named after, Raymond Sabouraud in 1892. Later adjusted by Chester W. Emmons when the pH level was brought closer to the neutral range and the dextrose concentration lowered to support the growth of other fungi. The 5.6 pH of traditional Sabouraud agar formulation inhibits bacterial growth. Sabouraud agar typically contains: * 40 g/L dextrose * 10 g/L peptone * 20 g/L agar * pH 5.6